Select the wrong pair of Yolk muscles
1. RSR LIO
2. RSO LIR
3. RMR LMR
4. RIR LSO

Correct answer: 3. RMR LMR

Explanation: RMR & LLR & Not LMR are yolk muscle Yoke Muscles: *Synergist muscle: Involved in Same Version movement (So one muscle would be of left eye, other would be of right eye.) *Ex- Right eye dextroversion by RLR and LMR is involved.. these two are YOKE muscles. \